Calcium channel blocking agents of use in the treatment of hypertension include:
1. Prazosin
2. Lidoflazine
3. Captopril
4. Nifedipine

Correct answer: 4. Nifedipine

Explanation: Ans. (D) Nifedipine(Ref: Katzung 10/e p175; KDT 8th/e p605)Nifedipine, amlodipine like calcium channel blockers can be used for hypertension.